Mid-day meals provided in schools provide-
1. 1\/2 of total calories & 1\/2 of protein
2. 1\/3 of total calories & 1\/2 of protein
3. 1\/2 of total calories & 1\/3 of protein
4. 1\/3 of total calories & 1\/4 of protein

Correct answer: 2. 1\/3 of total calories & 1\/2 of protein

Explanation: The meal should be atleast one-third of the total energy requirement and half of protein need.REF.PARK'S TEXTBOOK OF PREVENTIVE AND SOCIAL MEDICINE.Editon-21.Page no.-611.